VITAMIN WHICH IS NOT SYNTHESIZED BY THE BACTERIAL FLORA IN THE INESTINE IS?
1. vitamin k
2. Biotin
3. Niacin
4. Pantothenic acid

Correct answer: 3. Niacin

Explanation: Endogenously synthesized Vitamins are 1. Synthesized by the body- Niacin: synthesized from an amino acid Tryptophan Vitamin D: synthesized from 7 Dehydrocholesterol by exposure to UVB rays(290-315nm)in the skin. 2. Synthesized in the body(by Bacterial flora in the intestine) Vitamin K Biotin Pantothenic Acid Reference: Harpers illustrated biochemistry 30th edition